Signs and symptoms of uncomplicated pituitary diabetes insipidus can be controlled using -
1. Mannitol
2. Glycerol
3. Desmopressin
4. Ethyleneglycol

Correct answer: 3. Desmopressin

Explanation: Ans. is 'c' i.e., Desmopressin Treatment of diabetes insipidus* The signs and symptoms of uncomplicated pituitary DI can be eliminated completely by treatment with desmopressin (DDAVP), a synthetic analogue of A VP. DDAVP acts selectively at V 2 receptors to increase urine concentration and decrease urine flow in a dose-dependent manner.* It is also more resistant to degradation than is AVP and has a three- to fourfold longer duration of action.* Desmopressin can be given by IV or SC injection, nasal inhalation, or oral tablet.* The doses required to control pituitary DI completely vary widely, depending on the patient and the route of administration.